In adenoid facies, the facial profile is
1. Long and wide
2. Long and narrow
3. Short and wide
4. Short and narrow

Correct answer: 2. Long and narrow